In a Anti-mortem burn which is NOT true:
1. Line of redness
2. Increase in enzymes
3. Vesicle formation
4. Nonalbu minus bulla

Correct answer: 4. Nonalbu minus bulla

Explanation: D i.e. Non albuminous bulla